Ideal bone for bone graft is
1. Femur
2. Fibula
3. Radius
4. Ulna

Correct answer: 2. Fibula

Explanation: The fibula is an ideal spare bone for a bone graft.Ref: Chaurasia; Volume 2; 6th edition; Page no: 29